Common feature of Gitelman syndrome is :
1. Hyperkalemia
2. Metabolic alkalosis
3. Hypermagnesemia
4. High calcium excretion

Correct answer: 2. Metabolic alkalosis

Explanation: Gitelman syndrome- Caused by loss of function mutations in the thiazide sensitive Na cl co transporter of the DCT. salt wasting disorder associated with hypokalemic alkalosis and hypocalciuria Hypomagnesemia,chondrocalcinosis(abnormal deposition of calcium pyrophosphate dihydrate in joint cartilage). Ref:Harrison 20 th edition pg no 306,2096